Second arch derivative -
1. Malleus
2. Incus
3. Stapes
4. None

Correct answer: 3. Stapes

Explanation: Ans. is 'c' i.e., Stapes ArchSkeletal elementMuscle archNerve of archIMaxilla, zygomatic bone, part of temporal and vomer, sphenoid, mandible,Malleus, incusMylohyoidMastication musclesAnterior belly of digastricsTensor veli palatineTensor tympaniMandibular division of trigeminalIIStapesStyloid processStylohyoid ligamentSmaller cornu of hyoidSuperior part of body of hyoid (AII 'S')StapediusStylohyoidPosterior belly ofdigastricFacial expressionMusclesFacialIIIGreater cornu of hyoidLower part of body of hyoidStylopharyngeusGlossopharyngealIVCartilages of larynx except arytenoidsPharyngeal musclesCricothyroidSuperior laryngeal branch of vagusVIArytenoid cartilages of larynxIntrinsic muscles of larynxRecurrent laryngeal nerve